Sympathetic postganglionic neurotransmitter in sweat gland
1. Epinephrine
2. Nor- epinephrine
3. Serotonine
4. Acetylcholine

Correct answer: 4. Acetylcholine

Explanation: sympathetic postganglionic neurotransmitter in sweat glands is Ach Ref: Ganong's review of medical physiology, 23rd edition Page no:134